Which of the following is an artery of the forearm:
1. Brachial artery
2. Axillary artery
3. Ulnar artery
4. Femoral artery

Correct answer: 3. Ulnar artery

Explanation: The ulnar artery is the larger of the two terminal branches of the brachial artery.It begins in the cubital fossa at the level of the neck of the radius.descends through the anterior compartment of the forearm and enters the palm in front of the flexor retinaculum in company with the ulnar nerve.It ends by forming the superficial palmar arch, often anastomosing with the superficial palmar branch of the radial artery.In the upper part of its course, the ulnar artery lies deep to most of the flexor muscles.Below, it becomes superficial and lies between the tendons of the flexor carpi ulnaris and the tendons of the flexor digitorum superficialis.In front of the flexor retinaculum, it lies just lateral to the pisiform bone.BranchesMuscular branches to neighboring musclesRecurrent branches that take part in the arterial anastomosis around the elbow jointBranches that take part in the arterial anastomosis around the wrist jointThe common interosseous artery, which arises from the upper part of the ulnar artery and after a brief course divides into the anterior and posterior interosseous arteries.